Plethoric non collapsible IVC on echocardiography denotes?
1. Budd chiari syndrome
2. Hepatic venous malformation
3. Right heart failure
4. IVC thrombosis

Correct answer: 3. Right heart failure

Explanation: Ans CIn Heart failure increasing IVC diameter is associated with a worse prognosis Q. The IVC diameter is a summary measure of cardiac function as well as a marker of venous congestion. Measurements of IVC collapse are commonly reported as the "collapsibility index" Q which is calculated as (maximum) IVC diameter on expiration - minimum IVC diameter on inspiration/maximum IVC diameter on expiration). Mean IVC diameter correlates with CVPQ.